A city with 800 deaths per year. In mortuary body is stored for an average duration of 8 days with 80% occupancy in a year. What number of mortuary beds are needed per day ?
1. 22
2. 17
3. 7
4. 34

Correct answer: 1. 22

Explanation: Total number of bed = No. of deaths X average duration of storage = 800 X 8 = 6400 beds per year Bed needed Per day = 6400/365 = 17.5 beds per day This is true for 100% occupancy For 80% occupancy = 17/80 X 100 = 22 beds per day